Which of the following antifungal used in treatment of cushing syndrome is
1. Ketoconazole
2. Fluconazole
3. Itraconazole
4. Miconazole

Correct answer: 1. Ketoconazole

Explanation: (A) (Ketoconazole) (720-KDT) (763-KDT6th)USESA.KETOCONAZOLE* Effective in dermatophytosis, mondial vaginitis, systemic mycosis.* It has also been tried in dermal leishmaniasis and Kala-azar* * High dose KTZ has been used in Cushing syndromeB.FLUCONAZOLE* Indication includes cryptococcal meningitis, systemic and mucosal candidiasis* in both normal and immunocompromised patients, coccidioidal meningitis and histoplasmosis* An eye drop is useful in fungal keratitis* It is preferred drug for fungal meningitis* Most tinea infections and cutaneous candidiasisC.ITRACONAZOLE* Itraconazole is preferred over KTZ for most systemic mycosis * It is superior to fluconazole for histoplasmosis blastomycosis, sporotrichosis and is the drug of choice for paracoccidiomycosis and chromomycosis* In dermatophytosis, more effective than Griseofulvin, but less effective than fluconazole* * OnychomycosisD.MICONAZOLE* It is highly efficacious (79% cure rate) drug for tinea, pityriasis versicolor, otomycosis, cutaneous and vulvovaginal candidiasis, onychomycosis